Most common site of bony metastases in retinoblastoma
1. Skull bones
2. Hip bones
3. Ribs
4. Vertebrae

Correct answer: 1. Skull bones

Explanation: Answer-A. Skull bonesThe most frequently identified sites of metaststic involvement in children with retinoblastoma include skull bones, distal bones, brain, spinal cord, lymph nodes and abdominal viscera.